Bisacodyl is :
1. Bulk forming
2. Stool softner
3. Stimulant purgative
4. Osmotic purgative

Correct answer: 3. Stimulant purgative